Myasthenics are resistant to following muscle relaxant –
1. Suxamethonium
2. Pancurium
3. Atracuronium
4. Vecuronium

Correct answer: 1. Suxamethonium

Explanation: Mysthenic patient

Resistant to depolarizing blocker (Sch)
Hypersensitive to non deplarizing blocker.